Maximum fluoride content is seen in
1. Dental cementum
2. Dental pulp
3. Enamel
4. Dentin

Correct answer: 1. Dental cementum